External hemorrhoids are innervated by:
1. Pudendal Nerve
2. Lumbar Nerve
3. Obturator Nerve
4. Gluteal Nerve

Correct answer: 1. Pudendal Nerve

Explanation: External hemorrhoids are varicosities of the tributaries of the inferior rectal vein. They are covered by the mucous membrane of the lower half of the anal canal. They are innervated by the inferior rectal nerve which is a branch of pudendal nerve. They are sensitive to pain temperature and pressure. Ref: Snell's, Clinical Anatomy, 7th Edition, Page 424.